Clavicular fracture is treated by?
1. Fixation with plate and screw
2. Open reduction and internal fixation
3. Skeletal traction
4. Figure of eight bandage

Correct answer: 4. Figure of eight bandage

Explanation: Ans. D. Figure of eight bandagea. Clavicular fracture heals with good functional results even if there is moderate displacement of the fracture endsb. Perfect reduction is not essentialc. Treatment consists of a 'Figure of Eight' bandage which is periodically tightenedd. A sling can be used initially to support the upper limbe. In case of elderly patients with risk of axillary neurovascular compression, only a sling is used instead of the 'figure of eight' bandagef. Open reduction is done in case of nonunion, neurovascular damage, floating shoulder and wide separation of the fracture ends with interposition of soft tissue.